Infective dose of S.typhi is
1. 10 bacilli
2. 102 bacilli
3. 103-106 bacilli
4. 107-1012 bacilli

Correct answer: 3. 103-106 bacilli

Explanation: Infective dose is 103-106 colony forming units.